IL - I produces -
1. T lymphocyte activation
2. Delayed wound healing
3. Increased pain perception
4. Decreased PMN release from bone marrow

Correct answer: 1. T lymphocyte activation

Explanation: Interleukin -1 

Also known as leucocyte activating factor (LAF) or B cell activating factor (BAF).


Principally secreted by macrophages and monocytes, and epithelial cells.
Other sources are B lymphocytes, fibroblasts and endothelial cells.
Immunological effects-

- Activation of T cells for the production of IL - 2.
- B cell proliferation and antibody synthesis
- Neutrophil chemotaxis and increased PMN release from bone marrow.
- Increases body temperature (important endogenous pyrogen).
- Bone marrow cell proliferation
- Induction of acute phase protein.